What is the cause for luteal phase defect ?
1. Progesterone is inadequately secreted
2. Excess estrogen is secreted
3. Excess progesterone is secreted
4. All

Correct answer: 1. Progesterone is inadequately secreted

Explanation: Ans. is a i.e. Progesterone is inadequately secreted Luteal phase Defect is a condition when there is delay in the development of the endometrium of more than 2 days beyond the actual cycle day. This adversely affects the endometrial receptivity to blastocyst implantation. Etiology : Luteal phase defect is due to inadequte progesterone production by corpus luteum. Inadequate progesterone secretion could be due to : Inadequate follicular development Inadequate FSH or LH secretion Hyperprolactinemia Diagnosis : The diagnosis of luteal phase defect can be done by : BBT Chart : slow rise of temperature taking 4 - 5 days following fall in the mid cycle. rise of temperature sustains less than 10 days. Endometrial biopsy: Biopsy done in post ovulatory period reveals endometrium at least 2 days out of phase. Serum progesteronedeg estimated on 5th day following ovulation is less than 10 ng/ml. Management : Adminstration of vaginal or intramuscular progesterone (50 - 100 mg/d) begining 3 days after documentation of an LH surge and continued till : - Either first day of next menstrual cycle. Or - If pregnancy occurs till 8-10 wks of gestation. In unresponsive cases, clomiphene citrate may be tried.